In patient with Listeria meningitidis who is allergic penicillin the treatment of choice is:
1. Vancomycin
2. Gentamycin
3. Trimethoprim - sulfamethoxazole
4. Ceftriaxone

Correct answer: 3. Trimethoprim - sulfamethoxazole

Explanation: Ans. (c) Trimethoprim - sulfamethoxazole DOC for listeriosis (non-pregnant, neonate, pregnant) is ampicillin or penicillin often in combination with aminoglycosides. During last month of pregnancy (in case of penicillin allergy), may be treated with erythromycin. Otherwise in all cases of penicillin allergy DOC is trimethoprim-sulfamethoxazole